Palmer's sign is pregnancy refers to (8-12 weeks):
1. Rhythmic contractions of uterus
2. Pulsations in the lateral fornix
3. Discoloration of vagina
4. None

Correct answer: 1. Rhythmic contractions of uterus

Explanation: Rhythmic contractions of uterus